Which of the following are intracellular -
1. Virus
2. Chlamydia
3. Rickettsia
4. All

Correct answer: 4. All

Explanation: Ans. is 'a' i.e., Virus; 'b' i.e., Chlamydia; 'c'i.e., Rickettsia